WHO Ladder is for the rationale titration of -
1. Oral analgesia
2. Chemotherapy
3. Radiotherapy
4. Antidepressants

Correct answer: 1. Oral analgesia

Explanation: WHO Ladder is for the rationale titration of oral analgesia used in cancer paitents to relive their pain around the clock in more effective ways . Ref image - Researchgate.net